"Target lesions" are characteristically seen in?
1. Pemphigus vulgaris
2. Psoriasis
3. Urticaria pigmentosa
4. Erythema multiforme

Correct answer: 4. Erythema multiforme

Explanation: Iris or target lesions = Erythema multiformie Bulla spread sign and Nikolsky's sign = Pemphigus vulgaris. Auspitz sign = Plaque Psoriasis. Darrier's sign = Urticaria pigmentosa. White dermographism = Atopic dermatitis. Dimple sign = Dermatofibroma Target lesions - Central erythema surrounded by area of clearing and another rim of erythema